True about Rheumatic carditis -
1. Only endocarditis
2. Only myocarditis
3. Only Pericarditis
4. Pancarditis

Correct answer: 4. Pancarditis

Explanation: Ans. is `d' i.e., Pancarditis Rheumatic carditis Seen in 40-60% of patients. o Usually seen within 3 weeks. o It is a pancarditis involving all the three layers --> Myocardium, endocardium & Pericardium. o Rheumatic carditis is the only manifestation of acute RF that has the potential to cause long term disability and death. o The diagnosis of rheumatic carditis requires presence of one of the following. Organic cardiac murmurs not present previously. Cardiomegaly Congestive heart failure Pericarditis